For a patient with advanced chronic obstructive pulmonary disease (COPD), which nursing action best promotes adequate gas exchange?
1. Encouraging the patient to drink three glasses of fluid daily
2. Keeping the patient in semi-Fowler’s position
3. Using a high-flow venture mask to deliver oxygen as prescribe
4. Administering a sedative, as prescribe

Correct answer: 3. Using a high-flow venture mask to deliver oxygen as prescribe

Explanation: The patient with COPD retains carbon dioxide, which inhibits stimulation of breathing by the medullary center in the brain. As a result, low oxygen levels in the blood stimulate respiration, and administering unspecified, unmonitored amounts of oxygen may depress ventilation.
To promote adequate gas exchange, the nurse should use a Venturi mask to deliver a specified, controlled amount of oxygen consistently and accurately. Drinking three glasses of fluid daily would not affect gas exchange or be sufficient to liquefy secretions, 
which are common in COPD. Patients with COPD and respiratory distress should be places in high-Fowler’s position and should not receive sedatives or other drugs that may further depress the respiratory center.